Each of the following open into the pterygopalatine fossa, EXCEPT?
1. Foramen rotundum
2. Pterygoid canal
3. Pharyngeal canal
4. Infraorbital foramen

Correct answer: 4. Infraorbital foramen

Explanation: The infraorbital foramen transmits the infraorbital nerve and vessels onto the face. It has no connection with the pterygopalatine fossa. Must know:The pterygopalatine fossa is an irregular space where neurovascular structures course through to the nasal cavity, palate, pharynx, orbit and face. The neurovascular structures enter and exit the fossa through the following boundaries:Anterior boundary: Posterior surface of the maxilla.Posterior boundary: Pterygoid processes and the greater wing of the sphenoid bone, with openings for the following structures:Foramen rotundum for CN V-2.Pterygoid canal for the nerve of the pterygoid canal (Vidian nerve).Pharyngeal (palatovaginal) canal for the pharyngeal branch of CN V-2.